Ligation of common hepatic artery will impair the blood supply in:
1. Right gastric and left gastric artery
2. Right gastric and right gastroepiploic artery
3. Right gastric and short gastric vessels
4. Right gastroepiploic and short gastric vessels

Correct answer: 2. Right gastric and right gastroepiploic artery

Explanation: Common hepatic artery is a branch of the celiac trunk, which divides into hepatic artery proper and gastroduodenal artery. Gastroduodenal artery divides into the right gastroepiploic artery and superior pancreaticoduodenal artery. Right gastric artery is a branch of hepatic artery proper. So ligation of the common hepatic artery will impair the blood supply in right gastric and right gastroepiploic artery. Short gastric artery is a branch of the splenic artery. Left gastric artery is a direct branch of the coeliac trunk.